Which does not cause pseudomembranous enterocolitis?
1. Vancomycin
2. Levofloxacin
3. Clindamycin
4. Ceftazidime

Correct answer: 1. Vancomycin